Lymph from nose goes to all lymph nodes except -
1. Paratracheal nodes
2. Submandibular nodes
3. Retropharyngeal nodes
4. Upper deep cervical nodes

Correct answer: 1. Paratracheal nodes

Explanation: Ans. is 'a' i.e., paratracheal nodes Lymphatic drainage of the noseo Lymphatic drainage of the nose is as follows -i) Anterior half of nasal cavity (Both septum and lateral wall) - Submandibular nodesii) Posterior half of nasal cavity (Both septum and lateral wall) - Retropharyngeal nodes and upper deep cervical nodes.